Iron absorption takes place in which part of intestine?
1. Duodenum
2. Ileum
3. Jejunum
4. Colon

Correct answer: 1. Duodenum

Explanation: Ans. is 'a' i.e., DuodenumAlmost all iron absorption occurs in the duodenum.